Which of the following tests is performed to assess the efficiency of pasteurization?
1. Phosphatase Test
2. Oxidase Test
3. Catalase Test
4. Methylene Blue Test

Correct answer: 1. Phosphatase Test

Explanation: Phosphatase test is a widely used test to check the efficiency of pasteurized milk. Ref: Preventive and Social Medicine, By K.Park, 19th edition, Page 522; Laboratory Diagnosis of Infectious Diseases: Essentials of Diagnostic Microbiology, By Paul G. Engelkirk, Janet Duben-Engelkirk, 2008 Lippincott Williams & Wilkins, Page 215, 216, 277.